A 7 year old presented with intermittent abdominal cramps, loose stool and on stool examination eggs of size 100 m are seen, which is not the cause ?
1. Fasciola gigantica
2. Echinostoma iliocanum
3. Gastrodiscoides hominis
4. Opisthorcis viverni

Correct answer: 4. Opisthorcis viverni

Explanation: Ans. is. 'd' i.e., Opisthorcis viverni Eggs of Opisthorcis viverni have size very much less than 100 m